All are complications of gall stones except:
1. Diverticulosis
2. Acute cholangitis
3. Mucocele
4. Empyema of Gallbladder

Correct answer: 1. Diverticulosis

Explanation: Ans: A (Diverticulosis) Ref: Bailey and Love's Short Practice of Surgery 25th Edition & Schwartz's Principles of Surgery, 9th EditionExplanation:Complications of Gall StonesAcute and Chronic cholecystitisJaundiceMucocele of GBEmpyema of GBGangrene of GBSepsisCa Gall BladderCholangitisPancreatitisiMirrizi syndrome: Biliary duct obstruction secondary to stone impaction in hartman's pouch of GBGallstone ileus